DOC for Meningococcal chemoprophylaxis is -
1. Penicillin
2. Gentamicin
3. Rifampicin
4. Chloramphenicol

Correct answer: 3. Rifampicin

Explanation: Ans. C. RifampicinClose (household and kissing, HCW's) contacts of individuals with meningococcal disease are at increased risk (up to 1,000 times the rate for the general population) of developing secondary disease.Chemoprophylaxis:a. Adults- Ciprofloxacin-500mg oral single dose OR Ceftriaxone-single dose I/M or IV;b. Children-Rifampicin-4 doses over 2 days OR Ceftriaxone-single dose I/M or IV.c. Pregnant- Ceftriaxone-single dose I/M or IV.